The period of normalsy is seen between two psychosis. The diagnosis is:
1. Schizophrenia
2. Manic Depressive Psyhosis (MDP)
3. Alcoholism
4. Depression

Correct answer: 2. Manic Depressive Psyhosis (MDP)

Explanation: B i.e. Manic depressive psychosis